Most common cause diminision of vision in Peterygium is
1. Obstruction of visual axis
2. Corneal perforation
3. Myopia
4. Astigmatism

Correct answer: 4. Astigmatism

Explanation: Most common cause of diminision of vision in Peterygium is Astigmatism.